Gardner's syndrome is a rare hereditary disorder involving the colon. It is characterized by
1. Polyposis colon, cancer thyroid, skin tumors
2. Polyposis in jejunum, pitutary adenoma and skin tumors.
3. Polyposis colon, osteomas, epidermal inclusion cysts and fibrous tumors of the skin
4. All

Correct answer: 3. Polyposis colon, osteomas, epidermal inclusion cysts and fibrous tumors of the skin

Explanation: Ans. 'c' Polyposis colon, osteomas, epidermal inclusion cysts and fibrous tumors of the skin